Chemical peeling is indicated in all of the following except
1. Acne vulgaris
2. Lichen planus
3. Melasma
4. Phtotoaging

Correct answer: 2. Lichen planus

Explanation: Chemical peeling is indicated in Melasma, Acne, Acne scars and Photo ageing Chemical peels act by a. Skin resurfacing b. Collagen remodelling Thus they help is removal of scars/ pigmentation